Endometrial hyperplasia is seen in :
1. Endodermal sinus tumor
2. Dysgerminoma
3. PCOD cervix
4. None

Correct answer: 3. PCOD cervix

Explanation: Ans. is c i.e. PCOD Endometrial hyperplasia can be Simple (also known as cystic hyperplasia) Occurs as a result of prolonged and increased estrogen exposure as in case of : Follicular cystsdeg Theca cell Tumours of ovary Granulosa cell Tumours of ovary PCOD H In perimenoausal age group, it is associated with Glucose intolerance. Complex (also known as adenomatous) Less obviously connected with oestrogen exposure main cause is : unknown It is associated with : PCODdeg Glucose intolerance